A 4 year old child had cyanosis only involving the lower limbs, but not involving the upper limbs. Which of the following could be a possible underlying cause for differential cyanosis?
1. PDA with reversal of shunt
2. VSD with Eissenmenger syndrome
3. Tetralogy of Fallot
4. ASD with reversal of shunt

Correct answer: 1. PDA with reversal of shunt

Explanation: --> Differential cyanosis is seen in PDA with reversal of shunt --> Differential cyanosis: No cyanosis in upper limbs --> as oxygenated blood goes there. Cyanosis in lower limbs --> d/t mixing of oxygenated blood with deoxygenated blood. PATENT DUCTUS ARTERIOSUS : --> Failure of closure of Ductus arteriosus after birth , resulting in persistent connection b/w aorta & pulmonary artery. --> Hypoxia & prematurity predispose to PDA --> AUSCULTATION --> Continuous machinery murmur is seen --> DOC for medical closure of PDA in preterm neonate --> PG Inhibitor --> Normally PDA is acyanotic heart disease but with reversal of shunt, differential cyanosis is seen.